Surgery of choice of congenital cataract is
1. ECCE
2. ICCE
3. Needling
4. Dessication

Correct answer: 1. ECCE

Explanation: Childhood cataracts,(congenital, developmental as well as acquired) can be dealt with anterior capsulotomy and irrigation-aspiration of the lens matter or lensectomy.The needling operation (which was performed in the past) is now obsolete. Note- most of the books give lensectomy or aspiration as the surgery of choice for congenital cataracts. a peripheral rim of a capsule is usually left behind for secondary IOL implantation. Thus the closest possible answer is ECCE. Since glaucoma occurs in 10% of congenital cataract surgery, many surgeons delay the cataract surgery. Extracapsular cataract extraction with primary posterior capsulectomy and anterior vitrectomy is the procedure of choice ( limbal or pars plana approach). Ref khurana 6th edition pg 456